Which of the following is the most common cause of clinically significant consumptive coagulopathy?
1. Abruption placenta
2. IUCD
3. Dead fetus
4. Retained products of conception

Correct answer: 1. Abruption placenta

Explanation: One of the most common causes of clinically significant consumptive coagulopathy in obstetrics is placental abruption. Major mechanism of consumption coagulopathy are Disseminated intravascular coagulation (DIC) and to a lesser degree retroplacental bleeding. It is associated with hypofibrinogenemia (less than 150mg/dl), raised D dimer and fibrin degradation products, and low level of coagulation factors factor V, VIII.